Which is not a feature of cerebral malaria?
1. Bloody CSF
2. Retinal haemorrohages
3. Extensor plantar reflex
4. Absent abdominal reflex

Correct answer: 1. Bloody CSF

Explanation: Bloody CSF is seen in SAH and herpes encephalitis pt's. Cerebral malaria manifests as diffuse symmetric encephalopathy; focal neurological signs are unusual. Convulsions, usually generalized and often repeated On Routine Fundoscopy:- Discrete spots of retinal opacification (30-60%) Retinal hemorrhage Papilledema